Commonest cause of loss of vision in non- proliferative diabetic retinopathy is –
1. Vitreous heamorrhage
2. Macular edema
3. Detachment of retina
4. Subretinal haemorrhage

Correct answer: 2. Macular edema

Explanation: Macular edema is the most common cause of loss of vision in NPDR.